Which of the following is not a carcinogenic virus?
1. Hepatitis B
2. Hepatitis C
3. Molluscum Contagiosum
4. HPV

Correct answer: 3. Molluscum Contagiosum

Explanation: *Oncogenic RNA viruses: Human T-cell leukemia virus 1, Hepatitis C virus*Oncogenic DNA virus : Human papilloma virus, Hepatitis B virus, Ebstein Barr virus, Kaposi sarcoma herpes virus (HHV8) and Merkel cell polyoma virus.Ref: Robbins 8/e p312